A 32yr old patient came to the Gyne. OPD with complains of bleeding per vaginum . Bleeding was for a prolonged period of time than her usual number of days in her regular menses. There was no significant finding on examination. On further examination, she told that she was on warfarin therapy for past 1 yr. And also told that she took some medication recently before the symptoms appear. Which of the following drug is not responsible for the condition ?
1. Clarithromycin
2. Sulphonamide
3. Ciprofloxacin
4. Carbamazepine

Correct answer: 4. Carbamazepine

Explanation: These are those drugs which inhibit cyt 450 and increase the half life of warfarin resulting in increased bleeding.sulphonamides don't allow degradation of warfarin : Increased bleeding, but carbamazepine is enzyme inducer and hence not responsible for the condition and decreases the half life of warfarin leading to decreased activity. Must know table: